Rule of 9 to estimate surface area of burnt patient was introduced by:
1. Mortiz Kaposi
2. Alexander & Wallace
3. Lister
4. Barclag

Correct answer: 2. Alexander & Wallace